Position of rupture of hymen in a virgin after rape:
1. 3'O clock
2. 5'O clock
3. 11'O clock
4. 12'O clock

Correct answer: 2. 5'O clock

Explanation: Ans. 5'O clock